30 year old male met an accident and he is unable to move his legs and pass urine. Trauma to cervical spine is suspected. Which is the best approach?
1. X ray Cervical spine Lateral and AP view
2. Doctor must accompany the patient and shift to Xray table
3. Observation for any neurological deficit
4. Cervical collar immobilization and X-ray Cervical spine

Correct answer: 4. Cervical collar immobilization and X-ray Cervical spine

Explanation: Ans. (d) Cervical collar immobilization and X-ray cervical spineRef: Sabiston 20th edition page 495)* In case of suspected spine injury immobilization is the 1st step.* X-ray cervical spine must be taken to rule out fracture.